Tracheostomy is indicated in all except -
1. Tracheal stenosis
2. Bilateral vocal cord palsy
3. Foreign body larynx
4. Uncomplicated bronchial asthma

Correct answer: 4. Uncomplicated bronchial asthma